Mutism and akinesis in a person is aware of his surroundings and somewhat alert is best described as a feature of:
1. Oneroid state
2. Twilight state
3. Stupor
4. Delirium

Correct answer: 3. Stupor

Explanation: Ans. C. StuporAkinetic mutism is a feature of Stupor.* In this condition, the patient is unable to initiate action and speech but appears awake and alert.* There is a severe reduction of relational function - speech and action.* Akinetic mutism is also seen in Schizophrenia with affective psychosis and dissociative states.